All are the branches of coeliac trunk, except:
1. Left gastric artery
2. Right gastric artery
3. Splenic artery
4. Hepatic artery

Correct answer: 2. Right gastric artery

Explanation: Right gastric artery